Which of the following prominence is unpaired:
1. Frontonasal
2. Maxillary
3. Mandibular
4. None of the above

Correct answer: 1. Frontonasal

Explanation: The frontonasal prominence is a single unpaired structure; the other prominences are paired. Ref: Langman's embryology 11th edition Chapter 16.